Infective form for mosquito in Plasmodium falciparum is aEUR'
1. Merozoites
2. Sporozoites
3. Gametocytes
4. Trophozoites

Correct answer: 3. Gametocytes

Explanation: Gametocytes "Infective stage of plasmodium for mosquito ----)Gametocytes". The gametocytes do not cause any clinical illness in the human host but are essential for transmission of the infection. The gametocytes do not develop .further or divide in the vertebrate host & unless taken up by the vector mosquito they die in a few days. A gametocyte concentration of 12 or more per cmm of blood in the human host is necessary for mosquitoes to become infected. Remember Infective stage of plasmodium for mosquito --) Gametocytes Infective stage of plasmodium for man --) Sporozoite Plasmodium passes its life cycle in two different hosts Man --) Intermediate host Female anopheles mosquito --) Definitive host Human infection begins when a female anopheles mosquito inoculates sporozoites from its salivary gland into blood i.e. sporozoites are infective to man. In man sporozoites undergo multiple asexual reproduction and develops into gametocytes. Gametocytes are transferred to the insect. In the insects gametocytes develops into sporozoites after multiple sexual divisions.